Which muscleft is the chief mover of the mandible towards the left
1. Left medial pterygoid
2. Left lateral pterygoid
3. Right medial pterygoid
4. Right lateral pterygoid

Correct answer: 4. Right lateral pterygoid

Explanation: The formula method states that the right lateral pterygoid moves the mandible left, whereas the left lateral pterygoid moves the mandible right.